False regarding Bochdalek hernia is -
1. Spleen and kidney can herniate
2. Occurs posterolaterally
3. Always occurs on right side
4. Hernia may or may not have sac

Correct answer: 3. Always occurs on right side

Explanation: Ans. is 'c' i.e., Always occur on the right side Bochdalek hernia occurs mostly on left side (80%) I have no idea about option 'd'